True for Phase IV of clinical trials:
1. Done for paediatric drugs
2. Done for rare drugs
3. After-marketing surveillance of drugs
4. Human pharmacology and safety

Correct answer: 3. After-marketing surveillance of drugs

Explanation: Ans: C i.e. After-marketing surveillance of drugs Phases of clinical trial Phase IV of clinical trial is post marketing surveillance (data collected about the efficacy, acceptability and adverse effects of the drug). Further therapeutic trials involving special groups like children, elderly, pregnant/ lactating women, patients with renal/hepatic diseases etc.(which are generally excluded from clinical trials) may be undertaken at this stage Phase I of clinical trial is human pharmacology and safety